Uteroplacental blood flow at term is :
1. 300-500 ml/min
2. 500-700 ml/min
3. 700-900 ml/min
4. 900-1100 ml/min

Correct answer: 2. 500-700 ml/min

Explanation: Using ultrasound to study the uterine arteries, uteroplacental blood flow has been measured to increase progressively during pregnancy from approximately 450 ml/min in mid trimester to nearly 500-700 ml/min at 36 weeks. Ref: Williams Obs 25 e pg 132.